All of the following are inhalational anesthetic agents except
1. Halothane
2. Ketamine
3. Enflurane
4. Isoflurane

Correct answer: 2. Ketamine